Excessive buying is termed as:
1. Kleptomania
2. Oniomania
3. Trichotillomania
4. Pyromania

Correct answer: 2. Oniomania

Explanation: Ans. Oniomania